A person met with knife injury to face and resultant damage to facial nerve. It leads to impaired/decreased secretion from
1. Sublingual gland
2. Lacrimal gland
3. Parotidgland, sublingual gland and submandibular gland
4. None

Correct answer: 4. None